The division of a single tooth resulting in one normal and one supernumerary tooth is known as
1. Gemination.
2. Fusion.
3. Twinning.
4. Concrescence.

Correct answer: 3. Twinning.